In hand surgery which area is called no man's land:
1. Proximal phalanx
2. Distal phalanx
3. Between distal palmar crease and flexor crease of PIP
4. Wrist

Correct answer: 3. Between distal palmar crease and flexor crease of PIP

Explanation: - No man's land - it lies between palmar crease and flexor crease of PIP. 5 zones of hand: Zone 5 - forearm Zone 4 - carpal tunnel syndrome Zone 3- lumbricals Zone 2- FDS/ No man's land Zone 1 - FDP